A diabetic patient presents with pus from eye. Colonies of isolated organisms are black with microscopic feature of non-septate hyphae and obtuse branching. Diagnosis is ?
1. Aspergillosis
2. Candidiasis
3. Mucormycosis
4. Histoplasmosis

Correct answer: 3. Mucormycosis

Explanation: Ans. is 'c' i.e., Mucormycosis Information in this question are : i) Patient is diabetic ii) Orbital mycosis iii) Non-septate hyphae with obtuse branching (seen in rhizopus and mucor). All these suggest the diagnosis of mucormycosis, most common organism being rhizopus.